The estimation of 3-methyl histidine in urine is used to study:
1. Status of folate in the body
2. Renal disease
3. Skeletal muscle mass
4. Protein absorption in the gut

Correct answer: 3. Skeletal muscle mass

Explanation: Skeletal muscle mass